Pudendal canal is a part of
1. Colle's fascia
2. Obturator fascia
3. Scarpa's fascia
4. Campors fascia

Correct answer: 2. Obturator fascia

Explanation: The pudendal canal is an anatomical structure in the pelvis through which the internal pudendal artery, internal pudendal veins, and the pudendal nerve pass. The pudendal canal is a space between obturator fascia and the lunate fascia. Others believe that it is formed by splitting of the obturator fascia ref - BDC 6e vol2 pg362